Which of the following immunoglobulins has the highest mean serum concentration in humans?
1. IgA
2. IgD
3. IgG
4. IgM

Correct answer: 3. IgG

Explanation: IgG is the most abundant class of immunoglobulins in the serum, comprising about 80% of the total serum immunoglobulin.
There are four IgG subclasses IgG1, IgG2, IgG3, and IgG4—so numbered according to their decreasing concentrations in serum.

Parija SC. Textbook of Microbiology & Immunology. Elsevier Health Sciences; 2014. Page:96